All are caused by common vectors, except -
1. Dengue fever
2. Yellow fever
3. KFD
4. Japanese encephalitis

Correct answer: 3. KFD

Explanation: Dengue, YF and JE are caused by Mosquitoes while KFD is caused by Ticks. Park's Textbook of Preventive and Social Medicine, 25th edition, Page No. 832